Muscles of the anterior compartment of the leg are innervated primarily by
1. Deep peroneal nerve
2. Superficial peroneal nerve
3. Sural nerve
4. Saphenous

Correct answer: 1. Deep peroneal nerve

Explanation: In the leg, the deep peroneal nerve supplies muscular branches to the Tibialis anterior, Extensor digitorum longus, Fibularis (Peroneus) tertius, and Extensor hallucis longus, and an articular branch to the ankle-joint.